Facial muscles develop from:
1. I branchial arch
2. II branchial arch
3. III branchial arch
4. IV branchial arch

Correct answer: 2. II branchial arch

Explanation: DEVELOPMENT OF FACE

Five processes of face, one frontonasal, two maxillary and two mandibular processes form the face.
Frontonasal process forms the forehead, the nasal septum, philtrum of upper lip and premaxilla bearing upper four incisor teeth.
Maxillary process forms whole of upper lip except the philtrum and most of the hard and soft palate except the part formed by the premaxilla.
Mandibular process forms the whole lower lip.
Cord of ectoderm gets buried at the junction of frontonasal and maxillary processes. Canalisation of ectodermal cord of cells gives rise to nasolacrimal duct.

Key Concept:
Embryologically, they develop from the mesoderm of the second branchial arch, and are, therefore, supplied by the facial nerve.